In Duchenne muscular dystrophy, the defect is in the gene producing the following protein:
1. Dystrophin
2. Alpha-actinin
3. Nebulin
4. Desmin

Correct answer: 1. Dystrophin

Explanation: Duchenne & Becker muscular dystrophy are X linked recessive disorders due to defect in Dystrophin gene on Chr X